The function of minor connector is
1. Connects major connector to all components of the RPD
2. Prevents gingival displacement of the RPD
3. Allows a single path of placement of the RPD
4. It is that unit of RPD to which all other parts are directly or indirectly attached

Correct answer: 1. Connects major connector to all components of the RPD